Streptococcus pneumonia produces which type of hemolysis ?
1. Alpha
2. Beta
3. Gamma
4. Any of the above

Correct answer: 1. Alpha

Explanation: Ans. is 'a' i.e., Alpha Streptococcus pneumoniae, or pneumococcus, is a Gram-positive, alpha-hemolytic (under aerobic conditions)